Bleeding in DIC is most closely related to ?
1. Raised fibrin degradation products level in blood
2. Prolong prothrombin time
3. Low serum fibrinogen level
4. Raised thrombin time

Correct answer: 3. Low serum fibrinogen level

Explanation: Ans. is 'c' i.e., Low Serum fibrinogen level "In C fibrinogen is depleted" o DIC is a common acquired coagulation disorder resulting due to excessive activation of the coagulation system, usually due to massive tissue injury or sepsis. o The normal anticoagulants and fibrinolytic systems are overwhelmed and cannot contain the coagulation activation which becomes systemic, resulting in disseminated microvascular thrombi formation. o Platelets, coagulation factors and natural anticoagulants become depleted owing to thrombi formation. o The consumption of coagulation factors causes PT and PTT prolongations and may lead to bleeding. o Depletion of platelets may also contribute to the bleeding risk --) T BT. o The fibrinolytic system is activated to dissolve the fibrin thrombi, resulting in consumption of plasminogen from its conversion to plasmin and the formation of FDP's, including D-Dimers. FDP's can also contribute to bleeding because they impair fibrin clot formation and interfere with platelet function. Clinical Features of D.I.C. o In D.I.0 the most obvious clinical symptom is bleeding. There is abrupt onset of bleeding in the form of ecchymoses or petechiae. o Bleeding from sites of venipuncture. o Gum bleeding, epistaxis and gastrointestinal hemorrhage State of shock may develop. o Acute renal failure is not uncommon. Signs and symptoms of intracranial bleeding and pulmonary hemorrhage. o Clinical features of underlying disease.